What is diagnostic of fresh myocardial infarction in ECG:
1. QT interval prolongation
2. P mitrale
3. ST segment elevation
4. ST segment depression

Correct answer: 3. ST segment elevation

Explanation: Ans. is 'c' ST segment elevation (Ref Harrison, 16/e, p 1450 (15/e, p1388), Schamroth 6/e, p40).